In facia type of facebow, the centre of condylar rotation is arbitrarily marked as____ mm anterior to the middle of the tragus of the ear on canthotragal line.
1. 10 mm
2. 11 mm
3. 12 mm
4. 13 mm

Correct answer: 4. 13 mm

Explanation: Facia type: In the facia type of facebow, the centre of condylar rotation is arbitrarily marked as 13 mm anterior to the middle of the tragus of the ear, on a line drawn from the outer canthus of the eye to the middle of the tragus of the ear – canthotragal line.
The condylar rods of the facebow are placed on this point. Unlike the earpiece type, this facebow is mounted by placing the condylar rods at the centre of the condyle in the articulator.